The most common cause of bronchopulmonary aspergillosis is -
1. Aspergillus fumigatus
2. Aspergillus clavatus
3. Aspergillus flavus
4. Aspergillus niger

Correct answer: 1. Aspergillus fumigatus

Explanation: Pulmonary aspergillosis is most likely to develop in people who have chronic lung disorders or damaged lungs. These people are likely to have abnormal spaces in their lungs where the fungus can grow. The fungus can also rarely infect sinuses and ear canals. The mold spores can colonize (grow) inside lung cavities that developed as a result of chronic diseases, such tuberculosis, emphysema, or advanced sarcoidosis. The fibers of fungus might form a lump by combining with white blood cells and blood clots. This lump or ball of fungus is called an aspergilloma or mycetoma. In some cases, a fungus ball may be present in other organs of the body. Invasive aspergillosis, the most severe type, occurs when the infection travels from the lungs into the bloodstream. Other organs, such as the kidneys, liver, skin or brain, may become infected. This is a very serious condition that may result in death if not treated. People with very weakened immune systems are more susceptible to invasive aspergillosis. Other risk factors include a low white blood cell count, long-term use of corticosteroids, or hospitalization. Allergic bronchopulmonary aspergillosis (ABPA) is an allergic reaction that happens to some people after exposure to Aspergillus fungus. The fungus causes inflammation in the lungs and air passages. ABPA is more common in people with cystic fibrosis, bronchiectasis and/or asthma because they tend to have more mucus in their airways. Although it is unclear exactly why the allergic reaction occurs, the mucus in their airways may provide a good environment for the mold to grow. Unfortunately, the allergic reaction may produce symptoms similar to those associated with asthma, including wheezing, coughing and difficulty with breathing Aspergillosis is an infection or allergic reaction caused by various kinds of mold (a type of fungus). Mold is often found outdoors on plants, soil, or rotting vegetable matter. Mold can also grow indoors on household dust, food items such as ground spices, and building materials. Aspergillus fumigatus is the type of mold that is most likely to cause aspergillosis in certain people when they inhale (breathe in) its spores. Ref Harrison20th edition pg 1018